All of the following statements are true about congenital rubella except –
1. It is diagnosed when the infant has IgM antibodies at birth
2. It is diagnosed when Ig G antibodies persist for more than 6 months
3. M.C. congenital defects are deafness, cardiac malformation and cataract
4. Infection after 16 weeks of gestation results in major congenital defects

Correct answer: 4. Infection after 16 weeks of gestation results in major congenital defects

Explanation: In general, the earlier in pregnancy infection occurs, the greater the damage to the fetus. Maximum damage to the fetus occurs when infection is acquired in the first trimester of pregnancy.

Maternal viremia associated with rubella infection during pregnancy may result in infection of the placenta and fetus.
The most important factor in the pathogenicity of rubella virus for the fetus is gestational age at the time of infection. The earlier in pregnancy infection occurs, the greater the damage to the fetus.